Du Bois sign seen in syphilis is:
1. Shortening of the little finger
2. Small patches are seen on the back
3. Tightening of the fingers
4. All of the above

Correct answer: 1. Shortening of the little finger

Explanation: According to the current literature, the term "du Bois sign" characterizes the condition of a shortened fifth finger as a symptom of congenital syphilis.